Hybrid layer was given by
1. Nakabyashi
2. Bunocore
3. Burnam
4. Kim et al

Correct answer: 1. Nakabyashi